Pseudorosettes are seen in
1. Retinoblastoma
2. Ophthalmia nodosa
3. Phacolytic glaucoma
4. Trachoma

Correct answer: 1. Retinoblastoma

Explanation: Microscopic pathological study in Retinoblastoma shows various patterns like Homer-wright Flexner wintersteiner Fleurettes Refer khurana 6/e